Radio graphical findings in Freiberg disease is:
1. Depending on the stage of the disease, radiographs may show only sclerosis and widening of the joint space (early), with complete collapse of the metatarsal head and fragmentation later
2. Oblique views may be especially useful to fully appreciate subtle changes early in the disease
3. Osteochondral loose may be seen late in the disease as well
4. All are true

Correct answer: 4. All are true

Explanation: Ans. D. All are truea. It is osteochondroses of head of 2nd of 2nd (3rd/4th) metatarsal.b. The diagnosis of Freiberg disease is relatively straightforward when patients present with the typical complaints of activity-related forefoot pain with passive motion of the MTP joint and pain with palpation over the metatarsal head.c. The differential diagnosis may include metatarsalgia, Morton neuroma, stress fracture of the metatarsal, or synovitis. Physical examination typically reveals a limited range of motion (ROM), swelling, and tenderness with direct palpation of the MTP joint. A small effusion may be present.d. A callus may be seen underneath the affected metatarsal head. Occasionally, patients are completely asymptomatic with changes noted only on radiographs taken for other purposes.e. X rays in Early stage shows flattening increased density cystic lesions of metatarsal head, widening of metatarsophalangeal joint.f. X rays in late stage shows osteochondral fragment, sclerosis, flattening of metatarsal head with increased cortical thickening.